Cefoxitin - cycloserine fructose agar is used for ?
1. Neisseria
2. Clostridium difficle
3. Bacillus anttacis
4. Reiter's treponema

Correct answer: 2. Clostridium difficle

Explanation: Ans. is 'b' i.e., Clostridium difficle Cefoxitin - cycloserine fructose agar (CCFA) is an enriched selective and differential medium recommended for the isolation and cultivation of clostridium difficle from fecal specimens.